The mechanism of action of Rivaroxaban, used in the treatment of heparin induced thrombocytopenia and thrombosis syndrome is:
1. Direct factor Xa inhibitor
2. Activated factor VIIa
3. Vitamin K antagonist
4. None of the above

Correct answer: 1. Direct factor Xa inhibitor

Explanation: Rivaroxaban is the first orally active Factor Xa inhibitor. Useful in Heparin induced thrombocytopenia and thrombosis syndrome. Ref: Harrisons principles of internal medicine, 18th edition, Page 2737